A 50 yr old male presented with history of hematemesis - 500 ml of blood and on examination shows BP - 90/60, PR - 110/min and splenomegaly 5 below lower costal margin. Most probable diagnosis is
1. Mallory Weiss tear
2. Duodenal ulcer
3. Gastritis
4. Portal hypertension

Correct answer: 4. Portal hypertension

Explanation: Ans. is 'd' i.e. Portal hypertension